The anterior triangle occupy the side of the neck in front of sternomastoid muscle. Each triangle presents boundaries in front
1. Anterior median line of the neck extending from symphysis menti to supra sternal notch
2. The midline of the neck
3. Midline of the neck upto the sternoclavicular joint
4. Posterior border of thyroid gland

Correct answer: 1. Anterior median line of the neck extending from symphysis menti to supra sternal notch